Moist burn refers to?
1. Simple bums
2. Scalds
3. Electric bums
4. Thermal bums

Correct answer: 2. Scalds

Explanation: Ans. is 'b' i.e., Moist heat o Dry heat (e.g. flame) - Simple burns (or burns).o Moist heat - Scalds.